Which of the following is a vasoconstrictor:
1. Bupivacaine
2. Procaine
3. Lidocaine
4. None of the above

Correct answer: 4. None of the above